Proximal interphalangeal, distal interphalangeal & 1st carpometacarpal joint involvement and sparing of wrist is a feature of:
1. Rheumatoid arthritis
2. Pseudogout
3. Psoriatic arthropathy
4. Osteoarthritis

Correct answer: 4. Osteoarthritis

Explanation: Answer is D (Osteoarthritis) :Sparing of wrist and metacarpophalangeal joint with involvement of base of thumb (i.e. carpometacarpal joint) is very characteristic of `osteoarthritis'.Both DIP (Herbeden's nodes) and PIP (Bouchard's nodes) are involved in osteoarthritis.QDIP is the most common form of idiopathic O.A.